Compressed air is used to fire lead slugs in :
1. Automatic pistol
2. Revolver
3. Air rifle
4. Shot gun

Correct answer: 3. Air rifle

Explanation: C i.e. Air rifle Air rifle & air pistol release shots or pellets (skied) which are propelled by compressed air /gasQ. Some weapons use caridges of liquid CO, as the propellant. Their effective killing range (for rats, squarrels) is 30 yards (Parikh) 40 meter (Reddy - total range).